Vitamin required for post translational modification of coagulants is
1. Vitamin A
2. Vitamin C
3. Vitamin B6
4. Vitamin K

Correct answer: 4. Vitamin K